Mesentric tumours are
1. Usually solid
2. Usually cystic
3. Highly malignant
4. Highly vascular

Correct answer: 2. Usually cystic

Explanation: Mesenteric cysts and cystic mesenteric tumors are very rare abdominal growths. They may be localized all over the mesentery, from duodenum to rectum, however, they are mostly found in the ileum and right colon mesentery. There are several classifications of these formations, among which the one based on histopathologic features including 6 groups has been most commonly used: 1) cysts of lymphatic origin--lymphatic (hilar cysts) and lymphangiomas; 2) cysts of mesothelial origin--benign or malignant mesothelial cysts; 3) enteric cysts; 4) cysts of urogenital origin; 5) dermoid cysts; 6) pseudocysts--infectious or traumatic REFERANCE.nih.gov